The anti-malarial drug belonging to 8-aminoquinoline derivatives?
1. Doxycycline
2. Quinidine
3. Primaquine
4. Chloroquine

Correct answer: 3. Primaquine

Explanation: 8-aminoquinoline derivatives are primaquine, bulaquine, and tafenoquine.4 Aminoquinoline is Chloroquine.Ref: Sharma and Sharma 2nd edition; pg 809.